Which of the ligaments limits extension at the hip joint?
1. Iliofemoral
2. Ligamentum capitis femoris
3. Pubofemoral
4. Zona orbicularis

Correct answer: 1. Iliofemoral

Explanation: The iliofemoral ligament is a Y-shaped ligament extending from the anterior inferior iliac spine to the anterior surface of the intertrochanteric line of the femur. It prevents hyperextension of the hip joint during standing by screwing the femoral head into the acetabulum. (The ischiofemoral ligament also helps to prevent hyperextension of the hip joint by screwing the femoral head into the acetabulum). Ligamentum capitis femoris attaches the head of the femur to the acetabular fossa. The pubofemoral ligament connects the pubic portion of the rim of the bony acetabulum to the medial surface of the femoral neck. It prevents over abduction of the hip joint. Zona orbicularis is a band of circularly oriented ligamentous fibers that reinforce the capsule of the hip joint. it helps keep the head of the femur in its socket.